Acute infectious purpura fulminans is caused by
1. Neisseria meningitidis and varicella
2. Gonococi
3. E. coli
4. Proteus

Correct answer: 1. Neisseria meningitidis and varicella

Explanation: Purpura fulminans is an acute, often fatal, thrombotic disorder which manifests as blood spots, bruising and discolouration of the skin resulting from coagulation in small blood vessels within the skin and rapidly leads to skin necrosis and disseminated intravascular coagulation caused by Neisseria meningitidis and varicella Ref Harrison20th edition pg 1078